Vibration sense is carried by which pathway?
1. Ventral spinothalamic
2. Lateral spinothalamic
3. Dorsal columns
4. Anterolateral pathway

Correct answer: 3. Dorsal columns

Explanation: (C) Dorsal columns > A pattern of rhythmic pressure stimuli is interpreted as vibration.> The impulses responsible for the vibrating sensation are carried in the dorsal columns.> Degeneration of this part of the spinal cord occurs in poorly controlled diabetes, pernicious anemia, some vitamin deficiencies and occasionally other conditions; elevation of the threshold for vibratory stimuli is an early symptom of this degeneration.> Vibratory sensation and proprioception are closely related; when one is depressed, so is the other.